Most common deviation used in social medicine is
1. Mean
2. Range
3. Variance
4. Standard deviation

Correct answer: 4. Standard deviation

Explanation: "Standard deviation is most common and generally most appropriate measure of dispersion (variation)".-Park